A patient with a peptic ulcer was admitted to the hospital and a gastric biopsy was performed. The tissue was cultured on chocolate agar incubated in a microaerophilic environment at 37degC for 5 to 7 days. At 5 days of incubation, colonies appeared on the plate and were curved, Gram negative rods, oxidase positive. The most likely identity of this organism is
1. Campylobacter jejuni
2. Vibrio parahaemolyticus
3. Haemophilus influenzae
4. Helicobacter pylori

Correct answer: 4. Helicobacter pylori

Explanation: This organism is readily isolated from gastric biopsies but not from stomach contents. It is like Campylobacter species and grows on chocolate agar at 37degC in the same microaerophilic environment suitable for C. jejuni (Campy-Pak or anaerobic jar without the catalyst). H. pylori, however, grows more slowly than C. jejuni, requiring 5 to 7 days incubation. C. jejuni grows optimally at 42degC, not 37degC, as does H. pylori.